Transitional cell carcinomas can be caused by ?
1. Napthylamine
2. Smoking
3. Bilharziasis
4. All

Correct answer: 4. All

Explanation: Ans. is 'a' i.e., Napthylamine; 'b' i.e., Smoking & 'c' i.e., Bilharziasis